Titanium casting is done
1. Under vacuum in argon atmosphere
2. Under air pressure in nitrogen atmosphere
3. In specially fabricated aluminium vanadium crucible
4. Using CAD-CAM technique

Correct answer: 1. Under vacuum in argon atmosphere

Explanation: Titanium has a high melting point (1668 °C) and high rate of oxidation above 900 °C. It requires a special casting machine with arc-melting capability and an argon atmosphere along with a casting investment consisting of oxides, such as MgO, ZrO2, or Y2O3, which are more stable than titanium oxide, to ensure acceptable castability.
Phillips 12th edition page 376